A condition, which occurs in puberty and in the absence
of large amounts of supragingival plague and resulting in angular bone defects in the first molar and incisor region is called
1. Generalized juvenile periodontitis
2. Localized juvenile periodontitis
3. Desquamate gingivitis
4. Chronic periodontitis

Correct answer: 2. Localized juvenile periodontitis